Immediate reaction after death is:
1. Cadaveric spasm
2. Pugilistic attitude
3. Rigor mortis
4. Algor mortis

Correct answer: 1. Cadaveric spasm

Explanation: Ans. Cadaveric spasm